Ideal tissue for diatom study:
1. Bone marrow of femur
2. Lung
3. Liver
4. All

Correct answer: 1. Bone marrow of femur

Explanation: A i.e. Bone marrow of femur